A patient who was previously with good muscle mass, now presents with decreased muscle mass. There is history of RTA which led him to be bedridden for 6 months. This decrease in muscle mass is best explained by:
1. Metaplasia
2. Dysplasia
3. Hypertrophy
4. Atrophy

Correct answer: 4. Atrophy

Explanation: Ans. (d) AtrophyRef: Robbings pathology 9th ed. /36* Prolonged disuse of muscle can cause atrophy of muscle leading to decreased muscle mass in this patient (atrophy of disuse).Other Causes of Atrophy can be* Loss of innervation (denervation atrophy)* Diminished blood supply (ischemic/senile atrophy)* Inadequate nutrition* Loss of endocrine stimulation* Pressure